Substrate-level phosphorylation seen in reaction catalysed in
1. Succinate dehydrogenase
2. Alfa-ketoglutarate dehydrogenase
3. Succinyl CoA thiokinase
4. Malate dehydrogenase

Correct answer: 3. Succinyl CoA thiokinase

Explanation: 5th Step of TAC CYCLE: Generation of Succinate The next reaction involves a substrate level phosphorylation whereby a high energy phosphate is generated from the energy trapped in the thioester bond of succinyl CoA. The enzyme is succinate thiokinase (step 5, Fig.18.2). A molecule of GDP is phosphorylated to GTP and succinate is formed. The GTP can be converted to ATP by reacting with an ADP molecule: GTP + ADP - GDP + ATPRef: DM Vasudevan Textbook of Medical Biochemistry, 6th edition, page no: 218